Marker enzyme of mitochondria are/is -
1. Na+ – K+ ATPase
2. Glutamate dehydrogenase
3. Lactate dehydrogenase
4. No specific enzyme

Correct answer: 2. Glutamate dehydrogenase

Explanation: Markers of Plasma membrane - 5 '-Nucleotidase, Adenylyl cyclase, Na+ K+ ATPase
Marker of Endoplasmic reticulum- Glucose-6-phosphatase
Markers of Golgi apparatus- GlcNAc transferase 

Golgi mannosidase 
Galactosyltransferase, Sialyltransferase

Marker of Mitochondria- ATP synthase, Glutamate dehydrogenase
Marker of Peroxisome- Catalase
Marker of Cytosol- LDH